Adson test is used for determining vascular suffiency. It is useful in
1. Peripheral vascular disease
2. Varicose veins
3. Cervical rib
4. AV fistula

Correct answer: 3. Cervical rib